Among the common food items, fluoride is found in higher PPM in:
1. Pineapple
2. Tea
3. Sea Fish
4. Coconut Water

Correct answer: 2. Tea